Multiple punched out lesion in skull is characteristically seen in
1. Thalassemia
2. Multiple Myeloma
3. Rickets
4. Osteoporosis

Correct answer: 2. Multiple Myeloma

Explanation: (Multiple myeloma): (1041 -Davidson 21st edition)MULTIPLE MYELOMA - presents as multifocal destructive bone tumours composed of plasma cells throughout the skeletal system* The bone lesions appears radiographically as punched out defects usually 1-4 cm in diameter and grossly consists of gelatinous soft red tumour masses* Hyperparathyroidism - "pepper pot skull", The mandible a common site for 'brown ' tumours* Moth - eaten appearance - syphilis* Rugor Jersy spine - Osteopetrosis* Beheaded scortish terrior sign - Spondylolisthesis